Atypical (Second generation or newer) antipsychotics are -a) Aripiprazoleb) Risperidonec) Pimozided) Penfluridole) Olanzapine
1. abc
2. abe
3. cde
4. acd

Correct answer: 2. abe

Explanation: A typical (second generation) antipsychotics are clozapine, Olanzapine, Risperidone, Questiapine, Aripiprazole, Ziprasidone.